Evisceration is removal of which layer of eye ball?
1. Middle and inner
2. Outer and middle
3. Outer and inner
4. All the layers of eyeball

Correct answer: 1. Middle and inner

Explanation: Evisceration means Removal of the viscera Evisceration: The contents of the eye are removed, but the outer layer of the eyeball (sclera) is left intact. Enucleation The entire eye, including the globe, is removed but the orbital contents are left in place. Exenteration The contents of the eye socket are removed, including the muscles, lacrimal gland, optic nerve and various bones of the orbit.